Normal courtesy of one doctor towards another is according to :
1. Medical etiquette
2. Medical ethics
3. Both
4. None

Correct answer: 1. Medical etiquette

Explanation: A i.e. Medical etiquette Hippocratic oath, is restated by World Association in modern style and is known as Declaration of GenevaQ. It is followed by Medical council of India as code of EthicsQ.